Which of the following cranial nerve has no somatic motor nucleus?
1. Oculomotor
2. Trochlear
3. Facial
4. Abducens

Correct answer: 3. Facial

Explanation: The four nucleus of the facial nerve are: 1. The motor nucleus or branchiomotor 2. The superior salivatory nucleus or parasympathetic 3. The lacrimatory nucleus or parasympathetic 4. The nucleus of tractus solitariusRef: BD Chaurasia; 3rd volume; 6th edition; Pg: 370